In NIDDM, fundus examination is done –
1. At the time of diagnosis
2. 5 year after diagnosis
3. At diagnosis & 5 years after diagnosis
4. At 2 years

Correct answer: 1. At the time of diagnosis